A patient with hyperiglycerdemia is treated with Omega -3- polyunsaturated fatty acids. Treatment with omega-3- polyunsaturated fatty acids, will have the following effect on lipid profile:
1. Increased LDL and Increased total cholesterol
2. Decreased LDL and Decreased total cholesterol
3. Increased LDL and Decreased total cholesterol
4. Decreased LDL and Increased total cholesterol

Correct answer: 3. Increased LDL and Decreased total cholesterol

Explanation: Answer is C (Increased LDL and Decreased total cholesterol) The major effect of Omega -3-polyunsaturated Fatty Acids on plasma lipids is to decrease serum triglyceride levels. They do not have a consistent effect on total cholesterol and LDL cholesterol however most studies have reported a rise in LDL cholesterol and a decreased in total cholesterol.